All may be true about Rheumatoid Arthritis except:
1. Anti-MCV assay
2. RF positive
3. Anti- CCP antibody
4. Anti- Mi-2 antibody

Correct answer: 4. Anti- Mi-2 antibody

Explanation: Anti Mi-2 antibodies are useful for diagnosis of dermatomyositis Laboratory studies in suspected RA fall into 3 categories--markers of inflammation, hematologic parameters, and immunologic parameters--and include the following:- Erythrocyte sedimentation rate (ESR) C-reactive protein (CRP) level Complete blood count (CBC) Rheumatoid factor (RF) assay Antinuclear antibody (ANA) assay Anti cyclic citrullinated peptide (anti-CCP) and anti mutated citrullinated vimentin (anti-MCV) assays